Pavlik harness is used in treatment of -
1. Developmental dysplasia of hip
2. Perthes disease
3. SCFE
4. Post infective sequeal of hip

Correct answer: 1. Developmental dysplasia of hip

Explanation: Ans. is 'a' i.e., Developmental dysplasia of hip Splintage for Developmental dysplasia of hip* The most widely used device in management of developmenetal dysplasia of hip in Pavlik harness.* This device prevents adduction and extension while allowing further flexion, abduction and rotation. This position allows for gentle spontaneous reduction of dislocated hip.* Stretching of the tight adductors is also possible with the pavlik harness.* The device is worn full time till the hip stability is achieved.